A 15-year-old boy has unilateral nasal obstruction, mass in the cheek and epistaxis, the diagnosis is:
1. Cancer of nasopharynx
2. Inverted papilloma nose
3. Maxillary sinusitis
4. Angiofibroma

Correct answer: 4. Angiofibroma

Explanation: Angiofibroma typically affects males in adolescent age group. After its origin from superior margin of sphenopalatine foramen, it extends to pterygomaxillary fossa, infratemporal fossa and to the cheek producing a cheek swelling. Due to its highly vascular nature, recurrent spontaneous epistaxis and nasal blockage is the presenting feature. Cancer nasopharynx does not cause swelling of cheek. It is characterized by cranial nerve palsies, trismus and cervical lymphadenopathy. Inverted papilloma occurs in age group of 40-70.